Hardest tissue in humans
1. Enamel
2. Bone
3. Muscle
4. Skin

Correct answer: 1. Enamel

Explanation: Ans: a (Enamel)Hardest tissue in humans is enamel.